Conn's syndrome is associated with all, except -
1. Hypertension
2. Muscle weakness
3. Hypokalemia
4. Edema

Correct answer: 4. Edema

Explanation: hypertension due to sodium reabsorption, hypokalemia due to increased body depletion , muscle weakness due to due to potassium depletion( Harrison 17 pg 2260)